In `Hotair oven' for holding period of one hour, temperature required is -
1. 100degC
2. 120degC
3. 140degC
4. 160degC

Correct answer: 4. 160degC

Explanation: 160degC